Deficiency of the 'intrinsic factor of Castle' causes -
1. Megaloblastic anemia
2. Pernicious anemia
3. Cooley's anemia
4. Aplastic anemia

Correct answer: 2. Pernicious anemia